Parasympathetic fibers of vagus nerve supply -
1. Heart
2. Parotid gland
3. Submandibular gland
4. Ciliary muscles

Correct answer: 1. Heart

Explanation: Ans. is 'a' i.e., Heart o Functional components of vagus are:-1. Special visceral (branchial) efferent:# Arise in nucleus ambiguus and supplies muscels of larynx, pharynx (except stylopharyngeus), and soft palate (except tensor veli palatini).2. General visceral efferent:# Arise in dorsal nucleus of vagus and carry preganglionic parasympathetic fibers. These are distributed to thoracic (heart, lung) and abdominal (up to right 2/3 of transverse colon) viscera.3. General visceral afferent:# Nucleus tractus solitarius (lower part) receives sensations from pharynx, larynx, trachea, esophagus and thoracic and abdominal viscera.4. Special visceral afferent:# Nucleus tractus solitarius (upper part) receives taste sensation from posterior most part of tongue (vallecula) and epiglottis through internal laryngeal nerve.5. General somatic afferent:# Distributed to skin of auricle, external meatus, and tympanic membrane and terminate in spinal nucleus of trigeminal.